Lens develop from:
1. Coelomic epithelium
2. Endoderm
3. Surface ectoderm
4. Mesoderm

Correct answer: 3. Surface ectoderm

Explanation: c) surface ectoderm refkhurana 3rd/e p. 8